Coronary steal syndrome is associated with
1. Desflurane
2. Sevoflurane
3. Isoflurane
4. Halothane

Correct answer: 3. Isoflurane

Explanation: Coronary steal phenomenonInpatient with coronary artery stenosis, isoflurane causes coronary artery vasodilatation in non-ischemic area, thereby diverting the blood away from ischemic zone.(Refer: Morgan and Mikhail's Clinical Anaesthesiology, 5th edition, pg no.169)